The gas used in LA cartridge
1. O2
2. Helium
3. N2
4. CO2

Correct answer: 3. N2